Cholecystectomy may lead to increased risk of :
1. Proximal colon cancer
2. CA pancreas
3. Hepatic cancer
4. Cholangiocarcinoma

Correct answer: 1. Proximal colon cancer

Explanation: Bile acids can Induce hyperproliferation of the intestinal mucosa a number of intracellular mechanisms Cholecystectomy, which alters the enterohepatic cycle of bile acids, has been associated with a moderately increased risk of proximal colon cancers. It cannot be ruled out, however, that it is less the effect of the cholecystectomy than the impact of other, not yet identified factors in the lithogenic bile of such patients A number of cofactors have been identified that may enhance or neutralize the carcinogenic effects of bile acids, e.g., the amount of dietary fat, fibre, or calcium Calcium, in fact, hinds bile acids and thus may reduce their negative impact Ref : Manigot 11th edition Pgno: 628